Oral candidiasis is divided into primary and
1. Secondary infections
2. Subsidiary infections
3. Subclinical infections
4. All of the above

Correct answer: 1. Secondary infections